Commonest risk factor for HCV infection is:
1. i.v. drug abuse
2. Multiple sex partners
3. Surgery within last 6 months
4. Multiple contacts with HCV infected person

Correct answer: 1. i.v. drug abuse

Explanation: Most common risk factors for HCV infection are: Intravenous drug abuse (54%) Multiple sex partners (36%) Having had surgery within the last 6 month (16%) Needle stick injury (10%) Multiple contacts with an HCV-infected person (10%) Employment in medical or dental fields (1.5%)